Nodular scabies is found in:
1. Web space of fingers
2. Axilla
3. Abdomen
4. Scrotum

Correct answer: 4. Scrotum

Explanation: Scabies Mostly involves: web spaces, flexors of wrist, elbow & axilla. Infants: Scalp, face, neck, palms and soles. Nodular Scabies: scrotum Norwegian Scabies: severe, whole body involved, seen in malnourished and immunocompromised. Scabies incognito: wrongly treated with steroids.